Arm muscle not supplied by musculocutaneous nerve-
1. Biceps
2. Triceps
3. Brachialis
4. Coracobrachiolis

Correct answer: 2. Triceps

Explanation: Ans. is 'b' i.e., Triceps MuscleOriginInsertionNerve SupplyNerve RootsActionAnterior CompartmentBiceps brachiiLong headSupraglenoidTuberosity of radius and tubercle bicipital aponeurosis into deep fascia of forearmMusculocutaneous nerveC5,6Supinator of forearm and flexor of elbow- joint, weak flexor of shoulder jointShort headCoracoid process of scapula CoracobrachialisCoracoid process of scapulaMedial aspect of shaft of humerusMusculocutaneous nerveC5,6,7Flexes arm and also weak adductorBrachialisFront of lower half of humerusCoronoid process of ulnaMusculocutaneous nerveC5,6Flexor of elbow jointPosterior CompartmentTricepsLong headInfraglenoid tubercle of scapula Lateral headUpper half of posterior surface of shaft of humerusOlecranon process of ulnaRadial nerveC6,7,8Extensor of elbow jointMedial headLower half of posterior surface of shaft of humerus